The cells of the dental pulp which are responsible for the deposition of reparative dentin are:
1. Osteoblasts
2. Odontoblasts
3. Ameloblasts
4. Osteocytes

Correct answer: 2. Odontoblasts